True about prostatic urethra are all except:
1. Trapezoid in cross-section
2. Presence of verumontanum
3. Opening of prostatic ducts
4. Contains urethral crest

Correct answer: 1. Trapezoid in cross-section

Explanation: Trapezoid in cross sectionProstatic urethra is semilunar (transversely arched) in cross-sectionIn transverse section- Preprostatic part --> Stellate (star shaped)- Prostatic part -->Transversely arched (semilunar)- Membranous part --> Stellate- Bulbar & penile -->Transverse- External orifice -->Sagittal